Healthy carriers are found in all EXCEPT
1. Poliomyelitis
2. Measles
3. Diphtheria
4. Salmonellosis

Correct answer: 2. Measles

Explanation: B. i.e. (Measles) (90 - Park 19th) (91 - Park 20th)Carriers-classifications Incubatory carriers - Measles, mumps, polio, pertussis, influenza, diphtheria and Hepatitis - B Convalescent carriers - Typhoidfever, dysentery, cholera, diphtheria, and whooping cough Healthy carriers - Poliomyelitis*, Cholera, meningococcal meningitis, salmonellosis and diphtheria* Chronic carrier - Typhoidfever, hepatitisB, dysentery, cerebro- spinal meningitis, malaria, gonorrhoea